UJJAWALA scheme was launched by Ministry of Women and Child development to combat:
1. Malnutrition in under 5 years
2. School dropout
3. Child trafficking
4. Nutritional anaemia

Correct answer: 3. Child trafficking

Explanation: Ujjawala is a scheme launched by Ministry of Women and Child development in 2007 to combat child trafficking and is being implemented through NGOs. Ref: Park 21st edition, page 542.